By binding RANKL with high affinity, which of the following drug reduces bone resorption?
1. Alemtuzumab
2. Palivizumab
3. Daclizumab
4. Denosumab

Correct answer: 4. Denosumab